Feature of glomerular haematuria
1. Dysmorphic R.B.C.
2. Fragmented R.B.C.
3. Full of R.B.C.
4. Gross haematuria

Correct answer: 1. Dysmorphic R.B.C.

Explanation: Answer is A (Dysmorphic R.BO.) Presence of Dysmorphic RBC and RBC cast suggests hematuria of glomerular origin or a glomerular disease.